Pulses paradoxus can be seen in the following clinical states EXCEPT -
1. Pericardial tamponade
2. Acute severe asthma
3. Acute myocardial infarction
4. Massive pulmonary embolism

Correct answer: 3. Acute myocardial infarction